60 year old man came to OPD with complaint of pain over his toes. Earlier , due to acute STEMI, coronary stenting was performed. On local examination of feet , coloured skin lesions were observed with tenderness(As shown below). Gradual fall in renal functions were also seen . What should be the most probable diagnosis?
1. Sharp syndrome
2. Antiphospholipid antibody syndrome
3. Aortic dissection
4. Atheroembolism

Correct answer: 4. Atheroembolism

Explanation: Atheroembolism =Causes Elderly patients with widespread atherosclerosis Complication of Abdominal aorta surgery As a consequence of angiography =C/F Renal insufficiency or hypertension Livedo reticularis Cerebrovascular events Retinal artery occlusion Acute pancreatitis Ischemic bowels Gangrene of extremities =Urine analysis Increased cellularity, mild proteinuria Eosinophiluria Cholesterol crystals(rare) =Rx Control Hypertension Avoid Hypotension Adequate hydration